Kartagener's syndrome is characterized by all EXCEPT
1. Dextrocardia
2. Bronchiectasis
3. Bronchitis
4. Sinusitis

Correct answer: 3. Bronchitis

Explanation: (Bronchitis) (11, 18-LT) (409-Maqbool 1lth)Kartagener's syndrome (immobile cilia). These patients have a constantly runny nose, secretory otitis media, chronic sinusitis, bronchiectasis and often sinus inversus (Dextrocardia) Cystic fibrosis of pancreas.